In corneal reflex efferent is carried by
1. occulomotor
2. trochlear
3. abducens
4. facial

Correct answer: 4. facial